Fixation of Hysteria is -
1. Genital
2. Anal
3. Oral
4. Phallic

Correct answer: 4. Phallic

Explanation: "Oedipus complex (in phallic phase) is the primary cause of hysteria and other neurotic symptoms".